All are predisposing factors for sigmoid volvulus except:
1. Hirschsprung's diseases
2. Chagas diseases
3. Chronic constipation
4. Tuberculosis

Correct answer: 4. Tuberculosis

Explanation: Hirschsprung's disease and Chagas disease can lead to megacolon, a risk factor for sigmoid volvulus.